A 4 year old child is brought to the clinic with slowly progressive edema following an upper respiratory tract infection. Urine analysis of the child showed massive(more than 3dm/d) proteinuria and oval fat bodies. Which of the following is not a feature of the childs underlying condition ?
1. Hyperlipidemia
2. Hypercoagulability
3. Decreased fibrinogen
4. Albuminuria

Correct answer: 3. Decreased fibrinogen

Explanation: Child is most likely suffering from nephrotic syndrome. It is associated with increased fibrinogen levels. Characteristic features of nephrotic syndrome are proteinuria ( 3gm/ 24 hours), hypoalbuminemia, peripheral edema, hyperlipidemia and presence of oval fat bodies in the urine. Complications of nephrotic syndrome are hyperlipidemia, thrombosis, vitamin D deficiency, infection, hypoalbuminemia, malnutrition and anemia. Reference: Harrison's Principles of Internal Medicine, 18th Edition chapter 283.